Chemo-radiation was given to a patient. Which drug given will reduce toxicity caused by radiotherapy?
1. Vitamin A
2. Gemcitabine
3. Amifostine
4. Actinomycin D

Correct answer: 3. Amifostine

Explanation: Ans. (c) AmifostineRef. Cancer medicine 61 e 595Radiosensitizers vs Radiation protection agentRadiosensitizersRadiation protection agent* Actinomycin* Gemcitabine* Hydroxyurea* Metronidazole* Misonidazole* 5-FU* Mitomycin* Paclitaxel* Amifistone* GM-CSF* TL-1